Reaction of soluble antigen with antibody is known as -
1. Agglutination
2. Precipitation
3. Flocculation
4. Complement fixation

Correct answer: 2. Precipitation

Explanation: When a soluble antigen combines with its antibody in the presence of electrolytes at a suitable temperature and pH, the antigen-antibody complex form an insoluble precipitate. This is called precipitation reactions. Reference:Anathanarayan & paniker's 9th edition, pg no: 105